A mother comes with history of antenatal fetal death due to neural tube defect in first child. What is the amount of folic acid you will prescribe during preconceptional counseling (in micrograms/day)?
1. 4
2. 40
3. 400
4. 4000

Correct answer: 4. 4000

Explanation: Ans. is d, i.e. 4000Ref. Williams Obs 24/e, p 1104Folate Requirement in normal pregnancy: 4 microgramsFolate requirement in pregnancy with previous history of neural tube defects: 4 mg.